The antrochoanal polyp is
1. Multiple
2. Bleeding
3. Single and grows posteriorly
4. None

Correct answer: 3. Single and grows posteriorly

Explanation: Antrochoanal polyp is usually single and unilateral. More tendency to grow posteriorly and do not bleed.